Most Common Tumour of Eyelid is:
1. Sebaceeous Ca
2. BCC
3. SCC
4. Malignant melanoma

Correct answer: 2. BCC

Explanation: BCC